The selective medium for E Coli 0157 : H7 is?
1. Thiosulfate citrate bile salt sucrose agar
2. Xylose Lysine Deoxycholate agar
3. sorbitol MorConkey agar
4. Thayer main agar

Correct answer: 3. sorbitol MorConkey agar

Explanation: ref : HAZARIKA 4TH ED.